Which of the following is associated with AV block?
1. Hypothyroidism
2. Hyperthyroidism
3. Cushing disease
4. Pheochromocytoma

Correct answer: 1. Hypothyroidism

Explanation: Metabolic /endocrine causes of Atrioventricular Block 1. Hyperkalemia 2. Hypermagnesemia 3. Adrenal insufficiency 4. Hypothyroidism